Drug of choice for treatment of CML is:
1. Imatinib
2. Hydroxyurea
3. IFN-Alfa
4. Infliximab

Correct answer: 1. Imatinib

Explanation: Answer is A (Imatinib) The drug of choice for drug treatment of CML is Imatinib mesylate.